Bronchial secretion secretes:
1. IgA
2. IgE
3. IgM
4. IgG

Correct answer: 1. IgA

Explanation: (IgA) (140 - CP) (89-AN 7th)IgA - Principal immunoglobulin that appears in the sero-mucinous secretions such as milk,, saliva, tears, nasal fluids, sweat and secretions of respiratory, intestinal and genital tracts,